Viral DNA is integrated into Bacterial DNA in:
1. Transduction
2. Lysogenic conversion
3. Transformation
4. Conjugation

Correct answer: 2. Lysogenic conversion

Explanation: Ans. (b) Lysogenic conversion